Dosage of drug in child is calculated based on
1. Race
2. Weight
3. Sex
4. Height

Correct answer: 2. Weight

Explanation: Ans. B i.e. Weight Drug dosage for children is calculated based on age and weight of the child.